The definitive host for echinococcus granulosus is:
1. Man
2. Sheep
3. Hound
4. Dog

Correct answer: 4. Dog

Explanation: Ans: D i.e. Dog Canids (dogs, dingoes, wolves, and coyotes) act as definitive hosts for adult worms, while omnivorous/herbivorous mammals (humans, domestic animals and wildlife) serve as intermediate hosts for encysted larval stages.